Angular oral fissures is treated with-
1. Riboflavin
2. Pyridoxine
3. Cynocobalamine
4. Vitamin C

Correct answer: 1. Riboflavin

Explanation: riboflavin deficiency causes glossitis , angular stomatitis, cheilosis Ref Harrison 20th edition pg 97e